All of the following are adverse effects of glucocorticoids except:-
1. Hypoglycemia
2. Cataract
3. Peptic ulcer
4. Infections

Correct answer: 1. Hypoglycemia

Explanation: Glucocorticoids result in hyperglycemia, thus are avoided in diabetes mellitus. ADVERSE EFFECTS AND CONTRA-INDICATIONS OF STEROIDS: G - Glaucoma (on topical use) L - Limb muscle atrophy U - Ulcer (peptic ulcer) C - Cushing syndrome O - Osteoporosis C - Cataract (on systemic use) O - Osteonecrosis (avascular necrosis) R - C/I in Renal failure T - C/I in Tuberculosis (particularly ileo-caecal) I - Impair healing C - C/I in CHF O - Oedema I - Infections (due to immuno suppressant action) D - Diabetes mellitus S - Suppression of HPA-axis